Radiographically 'Sequestrum' formed in osteomyelitis is:
1. More opaque than healthy bone
2. Same opaque than healthy bone
3. Less opaque than healthy bone
4. None of the above

Correct answer: 1. More opaque than healthy bone